Which is TRUE regarding nerve conduction
1. All or none phenomenon
2. Conduction independent of amplitude
3. Propagated action potential is generated in dendrites
4. Faster in unmyelinated fibres

Correct answer: 1. All or none phenomenon

Explanation: An action potential is generated in axon hillock or its initial segment. Then it propagates at a constant velocity and amplitude through the fibre without any decrement. 
This propagation is faster in myelinated nerve fibres than the unmyelinated fibres.